False about Alport syndrome
1. Sensory neural deafness
2. Keratoconus
3. Megalocornea
4. Thrombocytosis

Correct answer: 4. Thrombocytosis